WHICH of the following cell is most commonly associated with chronic allergic asthma ?
1. TH17
2. TH1
3. TH 2
4. TH 4

Correct answer: 3. TH 2

Explanation: TYPE 4 HYPER SENSITIVITY IS MEDIATED BY T CELLS : TH 1 CELLS - macrophages = tb, contact dermatitis TH2 CELLS- esinophills = chronic allergic asthma and rhinitis TH 17 - macrophage and neutrophil = atopic dermatitis , rhematoid arthritis ( HSR 4 >3) REF : ROBBINS 10TH ED